Tetracycline acts on:
1. 30S ribosomes
2. 50S ribosomes
3. Cell membrane
4. Inhibiting DNA gyrase

Correct answer: 1. 30S ribosomes